Effect of efferent arteriole constriction and afferent arteriole dilatation on GFR is?
1. Increases
2. Decreases
3. No change
4. First increase then decrease

Correct answer: 1. Increases

Explanation: Increases REF: Ganong's 22" chapter 38 Increase in renal blood flow increases GFR. Afferent arteriole brings blood to the nephron hence its dilation will increase renal blood flow, and efferent arteriole takes blood away from the nephrons, hence its constriction will cause increase filtration, hence increase in GFR.